Most appropriate investigation for angiofibroma is:
1. Angiography
2. CT scan
3. MRI scan
4. Plain X-ray

Correct answer: 2. CT scan

Explanation: Ans. B CT scan Nasopharyngeal fibroma or juvenile nasopharyngeal angiofibroma is the most common benign tumor of the nasopharynx. It occurs mainly in adolescent males in the 2nd decade of life and is though to be testosterone dependent. As the name "angiofibroma" itself indicates it is made up of vascular and fibrous tissues. Now it is believed that the nasopharyngeal angiofibroma arises from the posterior part of the nasal cavity close to the margin of sphenopalatine foramen. Patient is always a young boy who complains of unilateral nasal obstruction and epistaxis. Profuse and recurrent epistaxis is the most common presentation. Severe pallor may be present due to repeated blood loss. On examination a smooth and small mass is seen on posterior rhinoscopy. Other features include broadening of nasal bridge, proptosis, swelling of cheek, and involvement of 2nd, 3rd, 4th, or 6th cranial nerve. CT scan is diagnostic. Surgical excision of tumor is now the treatment of choice.